Adenocarcinoma of oesophagus is associated with
1. Achalasia
2. Stricture
3. Corrosive bums
4. Barret's oesophagus

Correct answer: 4. Barret's oesophagus

Explanation: (D) Barret's oesophagus # Geographical variation of oesophageal cancer> Adenocarcinoma now accounts for 60-75% of all oesophageal cancers in several countries.> The reason for the change is not understood, but may be due to a changed incidence of Barret's oesophagus.# Complications of Barret's Oesophagus> Oesophageal ulcers: Barret's ulcer - pain, bleeding, perforation.> Oesophageal stricture: Usually located in middle or upper oesophagus. Peptic stricture occur in the distal oesophagus.> Dysplasia and Adenocarcinoma.